Which of the following is not associated with increase in the risk of seizures in future in a child with febrile seizures –
1. Developmental delay
2. Late age of onset
3. Complex partial seizures
4. Family history positive

Correct answer: 2. Late age of onset

Explanation: Risk factor for seizures in future (Risk factor for recurrence) 

Positive family history
Atypical complex febrile convulsion
Neurodevelopment retardation (MR, CP development delay).
Early onset of febrile seizure (before 1 year)
Focal features
More than one seizures in the same day.